Pseudolaminar necrosis is a feature of ?
1. Cerebral infarct
2. Renal infarct
3. Hepatic infarct
4. Cardiac infarct

Correct answer: 1. Cerebral infarct

Explanation: Ans. is 'a' i.e., Cerebral infarctIn the cerebral neocortex the neuronal loss and gliosis are uneven, with preservation of some lavers and destruction of others. producing a pattern of injury termed pseudolaminar necrosis.